Le Facies sympathique is characteristic of
1. Antemortem hanging
2. Postmortem hanging
3. Both of the above
4. Fresh water drowning

Correct answer: 1. Antemortem hanging

Explanation: Le facies sympathique is a sign of antemortem hanging. When the knot premes on cervical sympathetique chain, eyelid of the same side remains open and pupil is dilated.